Anti Phospholipid Syndrome (APS) is associated with all of the following, except:
1. Pancytopenia
2. Recurrent abortions
3. Venous thrombosis
4. Pulmonary hypertension

Correct answer: 1. Pancytopenia

Explanation: Venous thrombosis, recurrent abortions and pulmonary hypertension are recognized manifestations of Anti Phospholipid Syndrome (APS). So the single best answer of choice by exclusion is pancytopenia. Ref: Harrison's Principles of Internal Medicine, 16th Edition, Pages 1681-82, 1959, 1964, 1967; Davidson's Principles and Practice of Medicine, 19th Edition, Page 954